Lipid in tissue is detected by
1. Oil Red 0
2. Muciramine
3. PAS
4. Myeloperoxidase

Correct answer: 1. Oil Red 0

Explanation: Ans. is 'a' i.e., Oil Red 0